Pautriers microabscess are seen in:-
1. Epidermolysis bullosa
2. Mycosis fungoides
3. Eczema
4. Contact dermatitis

Correct answer: 2. Mycosis fungoides

Explanation: Pautrier's microabscess are small collections of lymphocytes in epidermis These are malignant atypical lymphocytes seen in cutaneous T cell lymphoma/ Mycosis fungoides (MC cutaneous lymphoma).